Which is not a diagnostic criteria for Munchausen's syndrome by proxy
1. Illness produced or alleged or both by a parent
2. Repeated requests for medical care of a child
3. Parental acceptance of knowledge of cause of symptoms
4. Regression of symptoms on separation from parents

Correct answer: 3. Parental acceptance of knowledge of cause of symptoms

Explanation: Munchausen's syndrome by proxy - (Rosenberg criteria): Illness produced or alleged, or both by a parent. Repeated requests for medical care of a child, leading to multiple medical procedures. Parental denial of knowledge of cause of symptoms. Regression of symptoms on separation from parents.